What is the most common site of osteosarcoma:
1. Lower end of femur
2. Upper end of humerus
3. Lower end of tibia
4. Upper end of femur

Correct answer: 1. Lower end of femur

Explanation: Ans. is 'a' i.e. lower end of femur * Common sites in decreasing order of frequency:Lower end of femur*Upper end of tibia *Upper end of humerusSome other common sites* Osteoclastoma - lower end of femur** Ewing's -tibia** Ivory osteoma -frontal sinus** Osteoid osteoma -tibia** adamantinoma -mandible** Chordoma -sacrum and cervical spine** Multiple myeloma -vertebra** Enchondroma -small bones of hand and feet** Simple bone cyst -upper end of humerus** Aneurysmal bone cyst -lower end of humerus** Bone secondaries -vertebra** Osteochondroma -metaphysis of femur** Rhabdomyosarcoma -head and neck area*